Which of the following is the best known metabolic function of the lung
1. Inactivation of serotonin
2. Conversion of angiotensin I to angiotensin II
3. Inactivation of bradykinin
4. Metabolism of basic drugs by cytochrome P450 system

Correct answer: 2. Conversion of angiotensin I to angiotensin II